Criteria for drinking water quality recommended by WHO includes -
1. Colour < 15 TCU
2. pH 6.5-8.5
3. Chloride 200-600 mg/1
4. All

Correct answer: 4. All

Explanation: Ans. is 'a' i.e., Colour < 15 TCU; 'b' i.e., pH 6.5-8.5; 'c' i.e., Chloride 200-600 mg/l